Pilocarpine is drug of choice in -
1. Open angle glaucoma
2. Acute angle closure glaucoma
3. Pigmentary glaucoma
4. None

Correct answer: 2. Acute angle closure glaucoma

Explanation: Ans. is 'b' i.e., Acute angle-closure glaucoma Important factsAngle-closure glaucomao Treatment of choice for acute congestive glaucoma - Laser iridotomy( 1st choice), Peripheral iridescence (2nd choice)o Drug of choice for acute congestive glaucoma - Pilocarpineo Initially, IOP is controlled (the first drug used) - Systemic mannitol or acetazolamideOpen-angle glaucomao Treatment of choice Topical antiglaucoma drugso Drug of choice b- blocker (Timolol, betaxolol, levobunolol)o Surgery of choice Argon or diode laser trabeculoplasty